Most common type of Benign Orbital tumour in Adults is
1. Lipoma
2. Dermoid
3. Haemangioma
4. Schwannoma

Correct answer: 3. Haemangioma

Explanation: (C) Haemangioma# ORBITAL TUMORS in both age groups are mostly benign.> Most common benign orbital tumors in children are Dermoids and vascular lesions such as capillary hemangiomas, lymph-angiomas and cavernous hemangiomas.> Most common benign tumors in Adults are also blood vessel tumors such as Hemangiomas, lymphangiomas and arteriovenous malformations> Tumors of the nerves (Schwannomas), fat (Lipoma), as well as those that evolve from the surrounding sinuses (Mucocele) occur less commonly.> Orbital Malignancies in Childhood are unusual. Most common are rhabdomyosarcomas, other malignant lesions that may affect the orbit include Burkitt's lymphoma and granulocytic sarcoma. Neuroblastoma, Ewing sarcoma, Wilm's tumor, and leukemias are the more common metastatic orbital lesions afflicting children.> Most common Malignant Orbital tumors in Adults are lymphomas. Often they are initially confined to the orbit without any systemic manifestations. Direct invasion of the orbit from the surrounding skin and sinus cavities can occur from squamous and basal cell cancers. Other malignancies that arise from tissues within the orbit are less common (Hemangiopericytoma, Chondrosarcoma, Malignant neurofibroma). Metastatic orbital tumors most frequently arise from breast & prostate.